True about semitendinosus
1. Supplied by common peroneal part of sciatic nerve
2. Proximal fleshy and Distally thin
3. Distal fleshy and Proximally thin
4. Proximal and distal thin but middle part is fleshy

Correct answer: 2. Proximal fleshy and Distally thin

Explanation: Semitendinosus - Origin- semitendinosus origins From the inferomedial Into the upper part of the Tibial part of ischial tuberosity, in common with the long head of biceps femoris. It is so named because it is muscular in upper part (fleshy) and has a long tendon of insertion (thin) . It lies posteromedially in the thigh, superficial to the semimembranosus. Insertion- It is inserted into the upper part of the medial surface of the tibia behind the sartorius and the gracilis. nerve supply - tibial part of sciatic nerve (L5, S1,S2) Ref : B D Chaurasia's Human Anatomy , seventh edition , volume 2 , pg. no.90 ( table no. 7.1 )